IMNCI differs from IMCI in all of the following, Except-
1. Malaria and anmeia are included
2. 0-7 days neonates are included
3. Emphasis on management of sick neonates over sick older children
4. Treatment is aimed at more than one disease at a time

Correct answer: 4. Treatment is aimed at more than one disease at a time

Explanation: Ans. is `d' i..e, Treatment is aimed at more than one disease at a time IMNCI (Integrated Management Childhood illaesst IMNCI is the Indian version of IMCI. It is the central pillar of child interventions under RCH H Strategy. As most sick children present with sign and symptoms of more than one disease. both IMCI and IMNCYfocus on treatment of more than one disease at the same time. The major highlights of Indian adaptation (IMNCI) are: i) Incorporation of Early Neonatal care. ii) Inclusion of first seven days of life in the algorithms (0-7 days age) iii) Reversal of order of training, with training of health personnel starting from the young infant (0-2 months) and proceeding to the older child (2 months-5 years) iv) Dedication of 50% of training time on younger infants (0-2 months). The total duration of training time was reduced from 11 days to 8 days out of which halfolthe training time was earmarked for management of young infants, (0-2 months), which contributes a lot to the mortality rate. v) Incorporating national Guidelines on Malaria, Anemia, Vitamin A supplementation and Immunization schedule vi) Inclusion of home based care of newborns and young infants vii)Skill based.